Anthracosis is caused by -
1. Silica
2. Iron
3. Coal dust
4. Cotton dust

Correct answer: 3. Coal dust

Explanation: Ans. is 'c' i.e., Coal dust * Anthracosis- Coal dust* Silicosis- Silica* Siderosis- Iron* Byssinosis- Cotton dust (textile industry)* Farmer's lung- Hay or grain dust (micropolyspora faeni)* Sequousis- Moldy red wood saw dust* Suberosis- Moldy cork dust* Detergent workers lung- Enzyme additives* Baggassosis- Sugarcane dust (thermoactinomyces sacchari)